CDC Stage 3 (AIDS) - Defining Opportunistic Illnesses in HIV Infection doesn't include
1. Oral candidiasis
2. Pneumocystis carini pneumonia
3. Wasting syndrome
4. Kaposi's sarcoma

Correct answer: 1. Oral candidiasis

Explanation: CDC Stage 3 (AIDS)-Defining Opportunistic Illnesses in HIV Infection:Bacterial infections, multiple or recurrentCandidiasis of bronchi, trachea, or lungsCandidiasis of esophagusCervical cancer, invasiveCoccidioidomycosis, disseminated or extrapulmonaryCryptococcosis, extrapulmonaryCryptosporidiosis, chronic intestinal (>1 month's duration)Cytomegalovirus disease (other than liver, spleen, or nodes), onset at age >1 monthCytomegalovirus retinitis (with loss of vision)Encephalopathy attributed to HIVHerpes simplex: chronic ulcers (>1 month's duration) or bronchitis, pneumonitis, or esophagitis (onset at age >1 month)Histoplasmosis, disseminated or extrapulmonaryIsosporiasis, chronic intestinal (>1 month's duration)Kaposi's sarcomaLymphoma, Burkitt's (or equivalent term)Lymphoma, immunoblastic (or equivalent term)Lymphoma, primary, of brainMycobacterium avium complex or Mycobacterium kansasii, disseminated or extrapulmonaryMycobacterium tuberculosis of any site, pulmonary, disseminated, or extrapulmonaryMycobacterium, other species or unidentified species, disseminated or extrapulmonaryPneumocystis jirovecii (previously known as Pneumocystis carinii) pneumoniaProgressive multifocal leukoencephalopathySalmonella septicemia, recurrentToxoplasmosis of brain, onset at age >1 monthWasting syndrome attributed to HIV(ref: Harrison's 19/e p1506,1215)